Ligament extending from cervix and vagina to lateral pelvic wall ?
1. Broad ligament
2. Pubocervical ligament
3. Round ligament
4. Transverse cervical ligament

Correct answer: 4. Transverse cervical ligament

Explanation: Transverse cervical ligaments of Mackenrodt are fan-shaped condensation of endopelvic fascia on each side of cervix above the levator ani and around uterine vessels.They connect lateral aspect of cervix and upper vaginal wall to lateral pelvic wall.They form a 'hammock' that supports the uterus.